Theirsch graft is also known as
1. Full thickness graft
2. Partial thickness graft
3. Wolfe's graft
4. Plastic graft

Correct answer: 2. Partial thickness graft

Explanation: Types of skin graftFeaturesPartial thickness ( Thiersch)Full thickness ( Wolfe)Graft uptake Easy uptake and survivalUptake is difficult Graft derivation Large grafts can be derivedOnly small grafts can be takenMC site Thigh Behind ear Cosmetic appearance Unacceptable Good Donorsite healing Donor site heals without contractionDonor site has to be closed or else it will heal with contracture(Refer: Sabiston's Textbook of Surgery, 19th edition, pg no: 1916-1917)